Human intestinal glands contain____
1. Paneth cells
2. Neuroendocrine cells
3. Stem cells
4. All of the above

Correct answer: 4. All of the above

Explanation: Ans. d (All of the above) (Ref. Essentials of stem cell biology By Robert Paul, p. 254)The 4 main epithelial cell lineages existing in the intestinal epithelium include the columnar cells, the mucin secreting cells, the neuroendocrine cells and the paneth cells.FOUR MAIN EPITHELIAL CELL LINEAGES EXIST IN INTESTINAL EPITHELIUM:# The columnar cells: Columnar cells with apical microvilli are most abundant epithelial cells found in small and large intestine.# The mucin-secreting cells:Are goblet cells containing mucin granules. Found throughout colonic epithelium# The neuroendocrine enteroendocrine cells: Secrete peptide hormones and contain dense core secretory granules,# Paneth cells in small intestine?- Exclusively located at crypt base of small intestine and ascending colon.- Contain apical secretory granules and express several proteins including# Lysozyme # TNF and # Antibacterial cryptins and defensins Q# Other less common lineages are:- Caveolated cells and Membranous or microfold cells.